All of the following are TRUE about inverse stretch reflex, EXCEPT:
1. Golgi tendon is the receptor organ
2. Autogenic excitatory negative feedback lengthening reaction
3. Protects against muscle tear
4. Sudden relaxation of muscle to high tension

Correct answer: 2. Autogenic excitatory negative feedback lengthening reaction

Explanation: Inverse stretch reflex or autogenic inhibiton is one in which when the tension in the muscle becomes very high there is sudden relaxation of the muscle. This inhibitory negative feedback lengthening reaction protects tearing of muscle or avulsion of tendon. Golgi tendon organ detects the muscle tension and is responsible for this reflex. Ref: Ganong's, Review of Medical physiology, 22 Edition, Page 134.